Most common cerebellar tumor in children?
1. Astrocytoma
2. Medulloblastoma
3. Ependymoma
4. PNET

Correct answer: 1. Astrocytoma

Explanation: Ans. (a) Astrocytoma(Ref: Robbins 9th/pg 1306: See Ans 69)*Most common pediatric brain tumor-Pilocytic astrocytoma*Most aggressive pediatric brain tumor-Medulloblastoma